Increased anion gap acidosis is caused by all except:
1. Diuretics
2. Uremia
3. Ketoacidosis
4. Ethylene glycol

Correct answer: 1. Diuretics

Explanation: Ans: a (Diuretics) Ref: Harrison, 16th ed, p. 265,17th ed, p. 181Diuretics does not cause increased anion gap acidosisAnion gap - It represents the unmeasured anions in plasma. It helps to identify whether the acidosis is due to retention of H+ or another acid. The normal cations present in plasma are Na+, K+, Ca+, Mg2+The normal anions present in plasma are Cl-, HCO3-, albumin, phosphate, sulphate lactate, and other organic acids.The positive and negative charges are usually equal. But only Na+, K+, Cl- and HCO3' are easily measurable. So if we calculate the difference between the measured cations and anions, there will be a gap - the anion gap, which represents the unmeasured anions.Anion gap = { + } - { + }Normal anion gap is 10-12 mmol/LCauses of normal and high anion gap acidosis: (refer above)